Which of the following anti-hypertensive medication not preferred during pregnancy?
1. Labetalol
2. Enalapril
3. Nifedipine
4. Methyldopa

Correct answer: 2. Enalapril

Explanation: Angiotensin-Converting Enzyme Inhibitors These drugs inhibit the conversion of angiotensin-I to the potent vasoconstrictor angiotensin-II. They can cause severe fetal malformations when given in the second and third trimesters. These include hypocalvaria and renal dysfunction. Some studies have also suggested teratogenic effects, and because of this, they are not recommended during pregnancy.Angiotensin-receptor blockers act in a similar manner. But, instead of blocking the production of angiotensin-II, they inhibit binding to its receptor. They are presumed to have the same fetal effects as ACE inhibitors and thus are also contraindicated.(Ref: William's Obstetrics; 25th edition)